Which is the most common cause of ventriculomegaly in newborn?
1. Dandy Walker syndrome
2. Arnold Chiari malformation
3. Aqueductal stenosis
4. Arachnoid villi malfunction

Correct answer: 3. Aqueductal stenosis

Explanation: - Ventriculomegaly is seen in neonates with hydrocephalus. - Obstructive or noncommunicating hydrocephalus develops most commonly in children d/t abnormality of aqueduct of Sylvius or a lesion in the fourth ventricle. - Nonobstructive or communicating hydrocephalus most commonly follows a subarachnoid hemorrhage, which is usually a result of intraventricular hemorrhage in a premature infant.